Metaphyseal fracture touching physis but not crossing it, comes under which type of Salter Harris physeal injury?
1. I
2. II
3. III
4. IV

Correct answer: 2. II

Explanation: SALTER HARIS PHYSEAL INJURY : Type 2 (salter and Harris classification for physeal injury-transverse fracture through the hypertrophic or calcified zone of plate but towards the edge the fracture deviates away from physis and split of triangular metaphyseal segment of bone (Thurston Holland fragment). Type 1 - a transverse fracture through the hypertrophic or calcified zone of plate. Even if fracture is quite alarmingly displaced, the growing zone of the physis is usually not injured &growth disturbance is uncommon. Type 3-a fracture that splits the epiphysis &then passes transversely to one or other side ,through the hypertrophic layer of physis and result in growth disturbance . Type4- as type 3, Fracture splits the epiphysis but extends to metaphysis .These fracture are liable to displacement & consequent misfit between the separated part of physis resulting in asymmetrical growth Type 5-longitudinal compression injury of physis .There is no visible fracture but growth plate is crushed &this may result in growth arrest. REF:Alley,9th edition ,pg,no.728